All of the following nerves pass through Jugular foramen except:
1. 9th
2. 10th
3. 11th
4. 12th

Correct answer: 4. 12th

Explanation: D i.e. 12th nerve